A mother noticed mucopurulent discharge from the right puncta of her 3 month old child. There is h/o watering from his right eye, tit is:
1. Syringing
2. Probing with syringing
3. Sac massage with topical antibiotics
4. Dacryocysto - rhinostomy

Correct answer: 3. Sac massage with topical antibiotics

Explanation: C i.e. Sac massage with Topical antibiotics Congenital dacryocystitis is almost always chronic Q, while acquired may be acute or chronic (chronic being more common). It is treated by massage over lacrimal sac, lacrimal syringing with antibiotics, probing of nasolacrimal duct, antibiotic drops and surgery (dacryocystorhinostomy, dacryocystectomy, conjunctivocystorhinostorny) Q